Granules of Eleidin are present in which of the following layer?
1. Stratum corneum
2. Stratum lucidum
3. Stratum spinosum
4. Stratum basale

Correct answer: 2. Stratum lucidum

Explanation: Stratum Lucidum - Also called clear cell layer. Present only in skin of palms and soles. Translucent due to presence of refractile Eleidin granules